Which of the following enzymes is used in Recombinant DNA research for Homopolymer tailing
1. Reverse transcriptase
2. S1 Transferase
3. Polynucleotide kinase
4. Terminal transferase

Correct answer: 4. Terminal transferase

Explanation: Terminaldeoxynucleotidyltransferase catalyzes the addition of deoxynucleotides to the 3' termini of DNA. ... By use of a tailing method, which adds homopolymerdeoxynucleotide tails to denatured DNA, any double-stranded DNA fragment can be joined to a cloning vehicle Ref biochemistry satyanarayana 4e p255